The Socio-Economic/Housing Scale developed for rural setup is?
1. Pareek
2. Kuppuswami
3. Shore
4. Adson's scale

Correct answer: 1. Pareek

Explanation: Ans. is 'a' i.e., Pareek